What about durham pin is true -
1. It is used to give skeletal traction
2. It has threads in the center of pin
3. It is used to give skeletal traction through calcaneum
4. All the above

Correct answer: 4. All the above

Explanation: Ans. is 'd'i.e., All the above Denham pino It is a type of pin used to give skeletal traction.o Threaded portion of the pin engages the bony cortices and reduces the chances of pin sliding,o This type of pin is used commonly to give skeletal traction through the cancellous bone i.e. calcaneum. It can also be used to give traction through osteoporotic bones.